A 60-year-old male patient presented to OPD with right upper quadrant abdominal pain, jaundice, fever with a significant history of weight loss, loss of appetite and lethargy. On examination a mass was palpable in the right hypochondrium which was firm in consistency and about 5x5 cm on palpation along with severe hepatomegaly. On seeing the previous records, patient was found to be a known case of Hepatitis C and was on medication for the same. Lab studies, Raised AFP levels Hypercalcemia Erythrocytosis No cirrhotic changes were evident on USG abdomen. Triple phase CT, Liver biopsy were performed. . Which of the following drug has been approved for the above condition: - Sorafenib Imatinib Dasatinib Regorafenib Ramucirumab
1. 1 and 3
2. 1, 2 and 5
3. 1, 2 and 4
4. 1, 4 and 5

Correct answer: 4. 1, 4 and 5

Explanation: This is a case of hepatocellular carcinoma. HPE image shows malignant hepatocytes growing in distorted versions of normal architecture. The arterial phase in triple phase CT shows a large enhancing lesion suggestive of hepatocellular carcinoma. Imatinib and Dasatinib are tyrosine kinase inhibitors approved for CML.